"Omental caking" in CT scan high possibility that patient is having:
1. Ca colon
2. Ca pancreas
3. Ca stomach
4. Ovarian tumor

Correct answer: 4. Ovarian tumor

Explanation: Ans. D. Ovarian tumorThe thickened omentum produced by "caking" appears as a large soft tissue mass with poorly defined edges. Fat planes are obscured.Following diagnostic signs characterize the lesions of mesentery/omentum according to their appearance:a. Rounded massesNHL (most common), leukemia and ovarian tumor (rare)b. Ill-defined massesNHL, Carcinoma ovary (most common), Colon, pancreas, stomach (rarely)c. Cake-like massesOvarian tumors, NHL and leukemiad. Stellate patternAll types of metastatic disease except lymphomas and leukemias.75% ovarian neoplasms are benign, 21% are malignant, 4% are borderline malignant.